Skeletal muscle is deficient in
1. Glucose -6 phosphatase
2. Hexokinase
3. Isomerase
4. Phosphofructokinase

Correct answer: 1. Glucose -6 phosphatase

Explanation: Muscle will not release glucose into the bloodstream, because muscle tissue does not contain the glucose-6-phosphatase.Ref: DM Vasudevan, 7th edition, page no: 125